Elschnig's pearls is seen in -
1. Wilson's disease
2. Secondary cataract
3. Complicated cataract
4. Congenital cataract

Correct answer: 2. Secondary cataract

Explanation: Clinical types of after cataract(secondary cataract). After cataract may present as thickened posterior capsule, or dense membranous after cataract or Soemmering's ring which refers to a thick ring of after cataract formed behind the iris, enclosed between the two layers of capsule or Elschnig's pearls in which the vacuolated subcapsular epithelial cells are clustered like soap bubbles along the posterior capsule. REF IMG